The neurotransmitter at the vagal nerve ending on the G-cell is:
1. Ach
2. Neurotensin
3. Bombesin
4. Entero-oxyntin

Correct answer: 3. Bombesin

Explanation: - G-cell in the pylorus secretes gastrin. - G-cell is innervated by vagal fibers; the transmitter of these fibers is bombesin, also known as gastrin-releasing peptide (GRP). - Neurotensin and entero-oxyntin are the peptides that influence the intestinal phase of the gastric acid secretion.